Reflex bronchoconstriction is most likely to occur with the following form of inhaled antiasthma medication
1. Metered dose spray of drug in solution
2. Dry powder rotacap
3. Nebuliser
4. Nebuliser with spacer

Correct answer: 2. Dry powder rotacap

Explanation: Dry powder inhalers are portable devices in which the capsule (rotacap) containing the drug is punctured/cut across and the powder is aerosolized by the inspiratory air flow of the patient. It requires high velocity inspiration which children, elderly and the very sick may not be capable of. Complications The dry powder is also more likely to irritate the air passage producing cough and bronchoconstriction. Ref:- kd tripathi;pg num :-232